AFP is a tumour marker for which of the following?
1. HCC
2. RCC
3. Oncocytoma
4. Chordoma

Correct answer: 1. HCC

Explanation: Markers of Hepatocellular carcinoma are: 1. AFP (a-fetoprotein) 2. PIVKA-2 (Protein induced by vitamin K absence 2) Note: The fibrolamellar variant of HCC has normal HCC values. a FP is not raised in all the patients of HCC, > 20 ng/ ml of AFP value is only seen in 70% of patients Markers raised in the fibrolamellar variant of HCC are: 1. Neurotensin 2. B12 binding globulin